Flaky paint appearence of skin is seen in –
1. Dermatitis
2. Pellagra
3. Marasmus
4. Kwashiorkar

Correct answer: 4. Kwashiorkar

Explanation: Dermatological manifestations in Kwashiorkor
1) Hair changes in Kwashiorkar

Hair is thin, dry and brittle, easily pluckable
Straight and hypopigmented
Flag sign (Alternate bands of Hypo and hyperpigmented hair corresponding to the period of under and proper nutrition).

2) Skin changes in Kwashiorkar

Large areas of skin show erythema followed by hyperpigmentation
Flaky paint dermatosis → Hyperpigmentation patches desquamate to expose raw hypopigmented areas. It gives the appearance of paint flaking off the surface of the wood.